Marcus gunn jaw winking phenomenon due to relation between which cranial nerves
1. VII + VIII
2. III + V
3. V + VII
4. III + VI

Correct answer: 2. III + V

Explanation: Ans. is 'b' i.e., III + V Marcus Gunn phenomenon (a.k.a. Marcus Gunn Jaw-Winkingor Trigemino-oculomotor Synkineses) IT is an autosomal-dominant condition with incomplete penetrance, in which nursing infants will have rhythmic upward jerking of their upper eyelid. This condition is characterized as a synkinesis: when two or more muscles that are independently innervated have either simultaneous or coordinated movements.